Enfuvirtide belongs to the class of:
1. Fusion inhibitors
2. Protease inhibitors
3. Gp 120 inhibitors
4. Nucleoride reverse transcriptase inhibitors

Correct answer: 1. Fusion inhibitors

Explanation: ENFUVIRTIDE: The HIV derived synthetic peptide acts by binding to HIV-1 envelope transmembrane glycoprotein which is involved in fusion of viral and cellular membranes. Fusion of the two membranes is thus prevented and entry of the virus into the cell is blocked. It is not active against HIV-2. ESSENTIALS OF MEDICAL PHARMACOLOGY K.D.TRIPATHI SEVENTH EDITION PAGE NO:811